LSCS can be done under following modalities of anaesthesia except:-
1. General anaesthesia
2. Spinal anaesthesia
3. Epidural anaesthesia
4. Saddle anaesthesia

Correct answer: 4. Saddle anaesthesia

Explanation: For an elective cesarean section, We need a level upto T4 which cannot be achieved by Saddle Anaesthesia. Advantages of spinal anesthesia over general anesthesia are: Less neonatal exposure to potentially depressant drugs A decreased risk of maternal pulmonary aspiration An awake mother at the birth of her child Spinal opioids can be used for postoperative pain relief Advantages of spinal anesthesia over epidural anesthesia: Rapid and predictable block Complete block (lesser failure rate) Lesser risk of systemic toxicity or high spinal due to accidental intravascular or intrathecal injection seen with epidural anesthesia More cost effective Disadvantages of general anesthesia:General anesthesia is associated with greater risk of - Pulmonary aspiration of gastric contents Difficult or failed intubation Drug exposure to the fetus Indications of general anesthesia:General anesthesia is preferred in certain emergency conditions such as - Massive bleeding (placenta previa or accreta, abruption placentae, or uterine rupture) Coagulopathy Hemodynamic instabilty Severe fetal distress Paracervical blockis used for labour analgesia but not for elective cesarean section. Side effects include transient fetal bradycardia, maternal local anesthetic toxicity and accidental injection of local anesthetic into the presenting fetal head. For an elective cesarean section, Spinal anesthesia is preferred over other techniques Advantages of spinal anesthesia over general anesthesia are: Less neonatal exposure to potentially depressant drugs A decreased risk of maternal pulmonary aspiration An awake mother at the birth of her child Spinal opioids can be used for postoperative pain relief Advantages of spinal anesthesia over epidural anesthesia: Rapid and predictable block Complete block (lesser failure rate) Lesser risk of systemic toxicity or high spinal due to accidental intravascular or intrathecal injection seen with epidural anesthesia More cost effective Disadvantages of general anesthesia:General anesthesia is associated with greater risk of - Pulmonary aspiration of gastric contents Difficult or failed intubation Drug exposure to the fetus Indications of general anesthesia:General anesthesia is preferred in certain emergency conditions such as - Massive bleeding (placenta previa or accreta, abruption placentae, or uterine rupture) Coagulopathy Hemodynamic instabilty Severe fetal distress Paracervical blockis used for labour analgesia but not for elective cesarean section. Side effects include transient fetal bradycardia, maternal local anesthetic toxicity and accidental injection of local anesthetic into the presenting fetal head.